Which of the following areas of the oral cavity are affected by inflammatory papillary hyperplasia?
1. Lips
2. Tongue
3. Palate
4. Gingival

Correct answer: 3. Palate